All are true about fully frozen Ice pack except:-
1. Smallest component of cold chain
2. Two vaccines are kept in two holes inside the ice pack
3. Fill water up to horizontal mark with plain tap water
4. Can store vaccines for 24hrs

Correct answer: 4. Can store vaccines for 24hrs

Explanation: Fully Frozen Ice Pack; Fill water up to horizontal mark with plain tap water. Smallest Component of cold chain. If there is any leakage such ice-packs should be discarded. 2 vaccines are kept in two holes inside the ice pack. Can maintain vaccine temeprature for 2-4 hours.